Hand, foot mouth syndrome is caused by ?
1. Cisplatin
2. Methotrexate
3. 5 FU
4. Metycergide

Correct answer: 3. 5 FU

Explanation: Ans. is 'c' i.e., 5FU Hand foot syndrome Hand foot syndrome is a form erythromyelalgia manifested as tingling, numbness, pain, erythma, swelling and increased pigmentation of hands and feet. Two most common drugs causing 'Hand foot' syndrome are: Capecitabine (most common) 5-FU (2nd most common) Drugs causing 'Hand foot' syndrome Commonly associated drugs Capecitabine Surafenib Cytarabin 5-FU Doxorubicin (liposomol) Rarely associated drugs Cisplatin Etoposide 6-MP Cyclophosphamide Hydroxyurea Suramin Docetaxel Methotrexate Paclitaxel Daunorubicin Mitotane